The commonest site of rupture of abdominal aortic aneurysms is
1. Anterior
2. Posterior
3. Left retroperitoneum
4. Right retroperitoneum

Correct answer: 3. Left retroperitoneum

Explanation: Abdominal aortic aneurysms can rupture anteriorly into the peritoneal cavity (20 per cent) or posterolaterally into the retroperitoneal space (80 per cent). The most common complications after open repair are cardiac (ischaemia and infarction) and respiratory (atelectasis and lower lobe consolidation)